Which of the following is not an exclusion of brainstem death
1. Patient under effect of drug overdose
2. Patient with severe head injury
3. Core body temperature is below 35 degree Celsius
4. Patient is suffering from severe metabolic/ endocrine disturbance

Correct answer: 2. Patient with severe head injury

Explanation: Exclusion of brainstem death : When the patient under effect of drug overdose When the core temperature is below 35 degree Celsius When the patient is suffering from severe metabolic/ endocrine disturbance Preconditions for the diagnosis for Brain stem death : 1. Patient must be deeply comatose2. Patient must be maintained on a ventilator3. Cause of the coma must be known